Composition of Nova-T is _______
1. Copper and silver
2. Copper and aluminium
3. Copper only
4. Copper and selenium

Correct answer: 1. Copper and silver

Explanation: Composition of Nova-T is copper and silver Copper carrying devices: In these, copper wire of surface area 200 to 250mm is wrapped round the vertical stem of a polypropylene frame. Among these devices are copper T 200, Copper 7, Multiload copper 250, Cop-per T 380, Copper T 220 and Nova T. They have an effective life of about 3-5 years. It is estimated that about 50 mcg of copper is elute daily in the uterus. Copper T 380, known as Paraguard, has a lifespan of 1 years. Nova-T had silver added to the copper wire, thereby increasing its lifespan to 5 years. IUCDs are a good contraceptive choice for the following groups of women: Low-risk of STD. Multiparous woman Monogamous relationship Desirous of long-term reversible method of contraception, but not yet desirous of permanent sterilization Unhappy or unreliable users of oral contrception or barrier contraception Uses of IUCD: As a contraceptive Postcoital contraception (emergency contraception) Preferably avoid its use in unmarried and nulliparous patients because of the risk of PID and subsequent tubal infertility. Ref: Shaw's textbook of Gyaecology 17th edition Pgno: 258